Which of the following has no asymmetric carbon?
1. Glucose
2. Glyceraldehyde
3. Dihydroxyacetone
4. Fructose

Correct answer: 3. Dihydroxyacetone

Explanation: (Option a)- Glucose has 4 chiral/asymmetric carbons (C2, C3, C4 and C5) (Option b)- Glyceraldehyde has 1 chiral carbon (C2) (Option d)- Fructose has 3 chiral carbons (C3, C4 and C5) (Option c) Dihydroxyacetone is the only carbohydrate which has no asymmetric carbon EXTRA EDGE Any compound having asymmetric carbon shows both structural and optical isomerism". Carbohydrates and amino acids have asymmetric carbon so, both structural and optical isomerism present. The number of Asymmetric carbons are always one less in keto form as compared to aldehyde form.